Erectile dysfunction is seen commonly with which antihypertensive
1. Atenolol
2. Prazosin
3. Nifedipine
4. Furosemide

Correct answer: 1. Atenolol

Explanation: Erectile dysfunction, impotence, bad dreams and hallucinations can be seen with beta blockers. Rerf: KD Tripathi , 8th ed.